Which of the following does not form the boundary of calots triangle -
1. Cystic duct
2. Common hepatic duct
3. Cytic artery
4. Visceral surface of spleen

Correct answer: 4. Visceral surface of spleen

Explanation: Ans. is 'd' i.e., Visceral surface of Spleen Calot's Triangle:* Calot's triangle or the hepatobiliary triangle is the space bordered by the cystic duct inferiorly, the common hepatic duct medially and the superior border by cystic artery.* This was described in 1891 by Jean-Frant^ois Calot.* It is an important surgical landmark and should be identified by surgeons performing a cholecystectomy to avoid damage to the extrahepatic biliary system.Note: In the original description by Calot the cystic artery is defined as the superior margin. But now most textbooks mention inferior surface/ border of right lobe of liver as the superior margin.